Rigor mortis results after death is due to
1. Failure of acetylcholine to diffuse
2. Failure of ATP supply
3. Failure of break down of calcium bridges
4. None of the above

Correct answer: 2. Failure of ATP supply